Ptosis results from trauma to which nerve-
1. VII
2. VIII
3. III
4. VI

Correct answer: 3. III

Explanation: *Ptosis is due to occulomotor nerve paralysis. Ref: Principles of ophthalmology 4th/e p.1107